ECT in depressive phase ofMDP is useful because it:
1. Produces recurrence
2. Reduces recurrence
3. Shortens duration
4. Increases drug effects

Correct answer: 3. Shortens duration

Explanation: C i.e. Shortens durations